A 30-year-old athlete complains of amenorrhea for 1 year. Her BMI is 20 kg/m2. LH and FSH are in low normal range. Clinical and USG findings are normal. Most likely cause is:
1. Depression
2. Excessive exercise
3. Premature menopause
4. Anorexia nervosa

Correct answer: 2. Excessive exercise

Explanation: Ans. is b, i.e. Excessive exerciseThis athlete has BMI =20kg/m2, i.e. she is underweightHer FSH and LH are in low normal rangeAll these findings point towards that either there is a problem in hypothalamus or pituitary.One of the causes of hypothalamic amenorrhea is excessive exercise which is the most probable cause in this case.